Fetal growth is maximally affected by -
1. Insulin
2. Growth hormone
3. Cortisol
4. Thyroxine

Correct answer: 1. Insulin

Explanation: Ans. is 'a' i.e., Insulin o Insulin and insulin like growth factor stimulate fetal growth. o Thyroxine has no effect on linear growth but it has effect on skeletal maturation. o Fetal or maternal GH is not essential for fetal growth in utero.